True about euthanasia are all, except:
1. Passive euthanasia is legal in India
2. Active euthanasia is allowed in the UK
3. Physician assisted suicide is legal in some States of the US
4. Active euthanasia is legal in Netherlands and Belgium

Correct answer: 2. Active euthanasia is allowed in the UK

Explanation: Ans. Active euthanasia is allowed in the UK